In a patient with UTI, LED (Cystine, Lactose Electrolyte Deficiency) Media is preferred over MacConkeys media because -
1. It is differential medium
2. In inhibits swarming of proteus
3. Promotes growth of Pseudomonas
4. Promotes growth of staph aureus and Candida

Correct answer: 4. Promotes growth of staph aureus and Candida

Explanation: MacConkey agar: is mainly used to differentiate between various gram-negative rod-shaped organism. It also inhibits the growth of Gram-positive organism. Thus it is both differential and selective REF:Textbook of microbiology Ananthanarayan page no. 42